The vitamin A supplement administered in Prevention of nutritional blindness in children 
programme contain –
1. 25,000 i.u./m1
2. 1 lakh i.u./rn1
3. 3 lakh i.u./ml
4. 5 lakh i.u./ml

Correct answer: 2. 1 lakh i.u./rn1

Explanation: National Programme for prophylaxis against blindness in children caused due to Vitamin — A deficiency: Oral 9 doses (Total 17 lac IU) of Vitamin — A starting at 9 months age along with measles vaccine (1 lac IU), and then at 15 months age (2 lac IU) followed by a dose (2 lac IU) every 6 months till the age of 5 years
Vitamin A solution contains 1 lac IU per ml solution
Vitamin A is given in NIS of India till 5 years age (Recent guidelines)
At 9 months age: 1 lac IU (1 ml)
Every 6 months, till 5 years age: 2 lac IU (2 ml) each
Total dose given: 17 lac IU (9 doses)